The effect of neuromuscular blocking drugs is measured as the depression of adductor muscle contraction following electrical stimulation of which nerve:-
1. Ulnar nerve
2. Median nerve
3. Radial nerve
4. Occipital nerve

Correct answer: 1. Ulnar nerve

Explanation: Different stimulation - Single Twitch Tetanus Train of four stimulus (most common) Double burst stimulation Post - tetanic count Nerves used - ulnar nerve (most common)(Adductor pollicis muscle ) Facial nerve Posterior tibial nerve External peroneal nerve